Which of the following statements is true about protein digestion?
1. Protein digestion starts with the salivary action
2. Trypsinogen is converted to trypsin by the action of bicarbonate in duodenum
3. Trypsin and chymotrypsin are exopeptidases
4. 10%-20% protein digestion occurs by pepsin action in stomach.

Correct answer: 4. 10%-20% protein digestion occurs by pepsin action in stomach.

Explanation: - Saliva does not contain proteolytic enzyme; protein digestion begins in the stomach by the action of pepsin. - Trypsinogen is converted to trypsin by the action of enterokinase in duodenum. - Trypsin and chymotrypsin are endopeptidases; carboxypeptidase and aminopeptidase are exopeptidases. - Of the total protein digestion, 10%-20% occurs by the action of pepsin.